Concomitant administration of clonazepam with which of the following antiepileptic drug can precipitate absence status?
1. Sodium valproate
2. Phenobarbitone
3. Carbamazepine
4. Phenytoin

Correct answer: 1. Sodium valproate

Explanation: Ans. is 'a' i.e., Sodium valproate `Concurrent administration of clonazepam and Valproate is contraindicated because absence status may be precipitated'